All are included in vision 2020, except
1. Cataract
2. Trachoma
3. Epidemic conjunctivitis
4. Glaucoma

Correct answer: 3. Epidemic conjunctivitis